Lymphatics from the upper limb drain into which group of axillary nodes?
1. Anterior group
2. Lateral group
3. Central group
4. Posterior group

Correct answer: 2. Lateral group

Explanation: Ans. is 'b' i.e., Lateral groupLateral group:Lie along the upper part of the humerus, medial to the axillary vein.Receive lymph from upper limb.